Testicular neoplasms account for 1% to 2% of all male-specific malignant neoplasms. Which of the following is NOT TRUE about testicular tumor?
1. Pure seminoma is more aggressive than nonseminoma
2. Seminoma is radiosensitive
3. Seminoma can be treated by orchidectomy with radiotherapy
4. Seminoma spreads commonly through lymphatics

Correct answer: 1. Pure seminoma is more aggressive than nonseminoma

Explanation: Non-seminomatous germ cell tumors (NSGCTs) tend to be more aggressive than pure seminomas, spreading earlier the bloodstream, with most patients having disease outside the testis at presentation. Seminomas tend to spread lymphatics initially, with late hematogenous spread. Seminomas are quite radiosensitive, and disease localized to the testes is usually treated with radical inguinal orchiectomy and 2000 to 4000 cGy of conventional radiotherapy. Ref: Clinical Pathology By James Caon, Dr. Richard Daly, Pramila Ramani, 2007, Page 243.